Which of the following is seen in chronic contact lens wearer:
1. Inclusion Conjuntivitis
2. Giant papillary Conjunctivitis
3. Vernal keratoconjuntivitis
4. Follicular conjunctivitis

Correct answer: 2. Giant papillary Conjunctivitis

Explanation: Ans. (b) Gaint papillary ConjunctivitisRef.: A.K. Khurana 6th ed. 182-83Please refer to above explanationAlso KnowInclusion Conjuntivitis* Caused by Chlamydia trachomatis D-K within 5-14 days of birth. Clinical features include mucoid/ mucopurulent discharge, redness in conjunctiva, swollen lids and pain in eyeballs.Follicular conjunctivitis* It is characterized by redness in conjunctiva, formation of follicles and discharge from the eyes. It is of following types:# Epidemic keratoconjunctivitis: adenovirus 8, 19; can cause "acute pseudomembranous conjunctivitis" in severe infection.# Pharyngo-conjunctival fever: caused by ad- enovirus.# Herpetic conjunctivitis: caused by HSV1 (more commonly) and HSV 2 (less commonly).